Percentage total lymphocytes formed by null cells:
1. 0-1%
2. 2-3%
3. 5-10%
4. 10-15%

Correct answer: 3. 5-10%

Explanation: (Refer: Anantha Narayanan and Paniker’s Textbook of Microbiology, 9th edition, pg no: 137)
Null cells

5 % of lymphocyte lack phenotypic markers of B or T lymphocytes
MHC unrestricted & Non adherent
Also called as Large Granular Lymphocyte
Expresses NCAM – I – CD 56 & Fc portion of Ig G – CD 16
Arise in both bone marrow & thymic environment

Components of Null cells

K cell or ADCC lymphocyte
NK cell – LAK cell (IL – 2) & NK/T cell (CD – 3)

Functions of Null cells